Maximum water and nutrients absorbed in which part of intestine?
1. Stomach
2. Duodenum
3. Jejunum
4. Colon

Correct answer: 3. Jejunum

Explanation: Absorption of the majority of nutrients takes place in the jejunum, with the following notable exceptions: Iron is absorbed in the duodenum. Vitamin B12 and bile salts are absorbed in the terminal ileum. Water and lipids are absorbed by passive diffusion throughout the small intestine. Sodium bicarbonate is absorbed by active transport and glucose and amino acid cotransport. Fructose is absorbed by facilitated diffusion.Ref: Ganong's review of medical physiology 23rd edition Page no: 452